Clinical features of conus medullaris include all of the following except
1. Extensor planter reflex
2. Saddle anesthesia
3. Late bladder involvement
4. Bilateral and usually symmetric sensory loss

Correct answer: 3. Late bladder involvement

Explanation: Ans. is 'c' i.e., Late bladder involvement